Pink reflex through intact tympanic membrane in active otosclerosis is known as
1. Schwabach's sign
2. Schwartz sign
3. Lyre's sign
4. Chvostek's sign

Correct answer: 2. Schwartz sign

Explanation: Ans. is 'b' i.e., Schwartz sign * Schwartz sign is a pink reflex, seen through intact tympanic membrane, in the area of oval window. It indicates active otosclerosis usually during pregnancy.* Lyre's sign is splaying apart of internal and external carotid arteries on angiogram in cases of carotid body tumour of the neck.* Chvostek's sign seen in hypocalcaemia as after total thyroidectomy where parathyroids have also been removed. Tapping over the distribution of facial nerve produces a twitch.